All of the following are part of the ASEPSIS would score except:
1. Serous discharge
2. Purulent exudate
3. Induration
4. Erythema

Correct answer: 3. Induration

Explanation: Criterion Description Points A Additional treatment Antibiotics 0 10 Drainage of pus under local anaesthetics 5 Debridement of wound (General anaesthetics 10 S Serous discharge Daily 0-5 E Erythema Daily 0-5 P Purulent exudates Daily 0-10 S Separation of deep tissues Daily 0-10 I Isolation of bacteria 10 S Stay in hospital prolonged over 14 days 5 INDURATION IS NOT A PART OF ASEPSIS WOUND SCORING